All of the following diseases/syndromes are Glycogen storage disorders EXCEPT?
1. Anderson's disease
2. Her's disease
3. Scheie's disease
4. Tarui's disease

Correct answer: 3. Scheie's disease

Explanation: Hurler/ Scheie (MPS type I) is a Mucopolysaccharidosis and not a Glycogen storage disease.